Elastin fiber system present in the lamina propria consists all of these EXCEPT
1. Oxytalan
2. Elastin
3. Elaunin
4. Collagen

Correct answer: 4. Collagen